True about streptococcus -
1. Lancefield classification is based on M protein
2. Group `G' not found in human
3. Group 'B' causes neonatal meningitis
4. Group 'C' can be isolated from vaginal flora

Correct answer: 3. Group 'B' causes neonatal meningitis

Explanation: Ans. is `c i.e. Group 'B' causes neonatal meningitis Lancefield classification is based on carbohydrate 'C' antigen not on M protein. Besides Str. pyogenes, streptococci belonging to group B, C, D, F, G and rarely H, K, 0 and R may also cause human infections. Group B streptococcus is the single most common cause of neonatal meningitis. Group C streptococci are part of normal flora of throat (not of vaginal flora) Group D streptococci ie enterococci can cause urinary tract infection.